Leucine aminopeptidase is elevated in obstruction of
1. Ureter
2. Urethra
3. Common bile duct
4. Spermatic cord

Correct answer: 3. Common bile duct

Explanation: Leucine Aminopeptidase Increased leucine aminopeptidase (Lap) activity is seen in : Carcinoma of the pancreas, choledocholithiasis, acute pancreatitis Viral hepatitis, cirrhosis, carcinoma with liver metastases In common bile duct obstruction, whether due to carcinoma pancreas or choledocholithiasis, the elevated serum Lap levels returned to normal following relief of the obstruction. This is in agreement with the hypothesis that the increased serum LAP activity in these conditions is the result of bile duct obstruction Ref: American journal of Gastroenterology, Dec 1963, vol 41 issue 6 Pgno : 620